A disease occurs with prolonged exposure to dust during glass production which can progress to respiratory failure and death, and is associated with increased risk for tuberculosis. Classic X-ray findings include calcified lymph nodes that produce an "eggshell" pattern. Pleural involvement creates dense fibrous plaques and adhesions that may obliterate the pleural cavities. Most likely disease is:
1. Byssinosis
2. Berylliosis
3. Silicosis
4. Anthracosis

Correct answer: 3. Silicosis

Explanation: Silicosis